In the given data, degree of freedom will be -
 Duration of developing AIDSBlood Group AB C D 0-10 years20 30 48 710-20 years 100 15 38 10 20-30 years 12 9 8 3
1. 12
2. 6
3. 9
4. 20

Correct answer: 2. 6